Focal lupus nephritis in renal biopsy specimen belong to which class of SLE nephritis according to the international society of nephrology and renal pathology lassification:
1. Class III
2. Class IV
3. Class IV B
4. Class V

Correct answer: 1. Class III

Explanation: Classification of Lupus Nephritis (International Society of Nephrology and Renal Pathology Society) Class I: Minimal Mesangial Lupus Nephritis Class II: Mesangial Proliferative Lupus Nephritis Class III: Focal Lupus Nephritis Class IV: Diffuse Lupus Nephritis Class V: Membranous Lupus Nephritis Class VI: Advanced Sclerotic Lupus Nephritis Ref:Harrison,E-18,P-2733.